Virus causing IMN have which feature
1. Double-stranded, enveloped DNA virus
2. Double-stranded, non enveloped DNA virus
3. Single-stranded, enveloped RNA virus
4. Single-stranded, non enveloped DNA virus

Correct answer: 1. Double-stranded, enveloped DNA virus

Explanation: EBV is an enveloped, ds DNA containing virus belonging to herpes group of viruses